Gluten-sensitive enteropathy is most strongly associated with –
1. HLA–DQ2
2. BLA–DR4
3. HLA–DQ3
4. Blood group B

Correct answer: 1. HLA–DQ2

Explanation: Almost all individuals with celiac disease share the major histocompatibility complex II HLA-DQ2 or HLA-DQ8.
Gliadin is deamidated by the enzyme transglutaminase and deamidated gliadin peptides bind to DQ2 and DQ8.
Recognition of these peptides by CD4+ T cells leads to secretion of IFN-γ, which damages the intestinal wall.